A 'leaf gauge is used to assist in
1. locating the musculo-skeletally stable position of the mandible
2. locating the posterior most position of the condyle in the glenoid fossa
3. assessment of the inter-occlusal clearance
4. none of the above

Correct answer: 1. locating the musculo-skeletally stable position of the mandible